NARP is
1. Lipid storage disorder
2. Glycogen storage disorder
3. Mitochondrial disorder
4. Lysosomal storage disorder

Correct answer: 3. Mitochondrial disorder

Explanation: Neuropathy, Ataxia, Retinitis pigmentosa (NARP) syndrome is a rare disorder with mitochondrial inheritance pattern